In sickle cell anemia, the defect is in which chain -
1. α-chain
2. β-chain
3. Both the chains
4. None of these

Correct answer: 2. β-chain